Ophitoxemia is:
1. Snakebite poisoning
2. Phenol poisoning
3. Chronic lead poisoning
4. Opium poisoning

Correct answer: 1. Snakebite poisoning

Explanation: Ans. Snakebite poisoning